U/L injury to hypoglossal nerve leads to all except ?
1. Hemiatrophy of involved side
2. Deviation of tongue towards the same side
3. Loss of taste sensation in one half of the tongue
4. Fasciculation of the tongue

Correct answer: 3. Loss of taste sensation in one half of the tongue

Explanation: Hypoglossal nerve supplies the muscles of the tongue (all the intrinsic and extrinsic except palatoglossus).Sensory nerves supply of the tongue:- Anterior 2/3 of tongue - The lingual nerve and the chorda tympani- Posterior 1/3 of tongue - The glossopharyngeal nerve .- The posterior-most part of the tongue is supplied by the vagus nerve